Dark adaptation is delayed in all of the following conditions except:
1. Pigmentary retinal dystrophy
2. Vitamin A deficiency
3. Primary open-angle glaucoma
4. Heredomacular degeneration

Correct answer: 4. Heredomacular degeneration

Explanation: Ans. Heredomacular degeneration